What is the denominator in calculation of incidence -
1. Number of fresh cases
2. Number of symptomatic cases
3. Total number of cases
4. Population at risk

Correct answer: 4. Population at risk

Explanation: Incidence is defined as new cases occurring in a defined population during a specified period of time. Incidence =(number of new cases of specific disease in a given time proof\population at risk during that period) 100 (refer pgno:60 park 23 rd edition)